Earliest clinical feature of Senile cataract
1. Glare
2. Frequent change of glasses
3. Coloured halos
4. Uniocular polyopia

Correct answer: 1. Glare

Explanation: Earliest clinical feature of Senile cataract is Glare
Most common symptom at presentation is Frequent change of glasses